Which of the following arteries is not involved little's area anastomosis?
1. Anterior ethmoid
2. Sphenopalatine art
3. Greater palatine artery
4. Posterior ethmoid artery

Correct answer: 4. Posterior ethmoid artery

Explanation: answer: DRef: Diseases of the Ear Nose and Throat by PL Dhingra 5th edn .2010 page 162Explanation:Little's area is the anteroinferior part of the septumContains the kisselbachs plexus comprising:Anterior ethmoidalSphenopalatineGreater palatineSeptal branch of the superior labial arteryThe most common site for epistaxisThe site of origin of hemangioma (bleeding polypus of septum)